In patients with cirrhosis of the liver the site of obstruction in the portal system is in the -
1. Hepatic vein
2. Post sinusoidal
3. Extra hepatic portal vein
4. Sinusoids

Correct answer: 4. Sinusoids